Which of the following will cause Lathyrism
1. Kesari dhal
2. Mung dhal
3. chana dhal
4. Udardhal

Correct answer: 1. Kesari dhal

Explanation: Ans) a (Kesari dhal) Ret Park 20th Edn P 558, 559Toxic principle is Beta oxalyl amino alanirie the diet containing over 30% of this dhal if taken over a period of 2-6 month will result in neurolathyrism.The disease mainly affects young males and manifests itself in stages.Interventions* Vitamin C prophylaxis* Banning the crop* Removal of toxin-steeping method and parboiling* Education* Genetic approachEndemic ascites-panicum miliare (Gondhli) which gets contaminated with the seeds of crotalaria (Jhunjhunia)., which contain pyrrolizidine alkaloids whish are hepatotoxic.Epidemic dropsy-due to ingestion of mustard oil contaminated with argemone oil which contains Sanguinarine. Clinical features of epidemic dropsy include swelling of legs, diarrhea, and cardiac failure, glaucoma.The toxic substance interferes with the metabolism of pyruvic acid leading to its accumulation.